b-hydroxybutyric aciduria is associated with deficiency of
1. Orotidylic acid decarboxylase
2. Orotate phosphoribosyl transferase
3. PRPP Synthase
4. Dihydropyrimidine dehydrogenase

Correct answer: 4. Dihydropyrimidine dehydrogenase

Explanation: b-hydroxybutyric aciduria, a pyrimidine catabolism disorder due to total or partial deficiency of the enzyme dihydropyrimidine dehydrogenase. This disorder can develop toxicity to 5-fluorouracil, also a substrate for this dehydrogenase enzyme. Reference: Harpers illustrated biochemistry 30th edition